In blood coagulation, the rate-limiting step is:
1. Fibrinogen to fibrin conversion by action of thrombin
2. Conversion of prothrombin to thrombin
3. Activation of factor X
4. Action of factor VIII

Correct answer: 3. Activation of factor X

Explanation: Activation of factor X or formation of prothrombin activator (Xa) is the rate-limiting step in the clotting cascade. Extrinsic pathway for coagulation: Tissue trauma --> release of tissue thromboplastin --> eventual conversion of X to Xa. Intrinsic pathway for coagulation: Trauma to blood, or blood (factor XII) coming in contact with subendothelial collagen --> other clotting factors activated in the subsequent cascade --> eventual conversion of X to Xa.